"Cystic lesion" with Suprasellar calcification on X-ray is a feature of:
1. Craniopharyngioma
2. Astrocytoma
3. Oligodendroglioma
4. Meningioma

Correct answer: 1. Craniopharyngioma

Explanation: Craniopharyngioma